Vitamin E deficiency is similar to
1. Spinocerebellar ataxia
2. Multiple sclerosis
3. Chronic muscle weakness
4. Peripheral neuropathy

Correct answer: 1. Spinocerebellar ataxia

Explanation: (A) Spinocerebellar ataxia # Vitamin E deficiency causes Ataxic neuropathy due to loss of proprioception & myopathy with proximal weakness.